Terrestrial radiation is maximum in -
1. Karnataka
2. Orissa
3. West bengal
4. Kerala

Correct answer: 4. Kerala

Explanation: Park's textbook of preventive and social medicine 23rd edition. *Terrestrial radiation: Radioactive elements such as thorium, uranium radium and an isotope of potassium are present in man's environment eg: soil, rocks, buildings. Areas exist eg: kerala in india where there are rock formations containing uranium.